Sequence of colour changes observed in Raynaud's disease.
1. Red, blue, white
2. White, blue, red
3. Blue, red, white
4. White, red, blue

Correct answer: 2. White, blue, red

Explanation: Triphasic Color Response Include Three Stages Blanching (stage of local syncope) With exposure to cold, digital arterioles goes into spasm Decreased flow is evidenced by pallor or blanching Digits may appear white Cyanosis (stage of local asphyxia) Capillaries and venules dilate Red Engorgement (stage of recovery) With rewarming or passing of attack, the digital vasospasm resolves Blood flow into dilated arteries and capillaries increases dramatically Reactive hyperemia imparts bright red color to the digits